A mother is HBsAg positive at 32 weeks of pregnancy. What should be given to the new born to prevent neonatal infection -
1. Hepatitis B vaccine + immunoglobulins
2. Immunoglobulins
3. Hepatitis B vaccine only
4. Immunoglobulin followed by vaccine 1 month later

Correct answer: 1. Hepatitis B vaccine + immunoglobulins

Explanation: Ans. is 'a' i.e., Hepatitis B vaccine + immunoglobulin Immunization of infants born to HbsAg positive women.o These infants should receive both active and passive immunization soon after birth.The first dose of active immunization should be accompanied by administration of.5 ml of HBIG as soon after delivery is possible, because the effectiveness decreases rapidly with increased time after birth.o Subsequent doses of active immunization should be given at l-2mo. and 6 mo of age.Indication and dosing schedule for Hepatitis B vaccine and hepatitis B immune globulin.GroupActive im m unization (Recombivax, or Engeris)Passive immunization (HBIG)Neonates Schedule ScheduleInfants of Hbs o Birth, Ag positiveo 1 mo.within 12 hr of birthwomen o 6 mo. Infants of o Birth HbsAgo 1-2 mo,None-Negative o 6-18 mo women